Most common cause of Cushing's syndrome is?
1. Pitutary adenoma
2. Adrenal adenoma
3. Adrenal carcinoma
4. McCune Albright syndrome

Correct answer: 1. Pitutary adenoma

Explanation: Ans. is 'a' i.e., Pitutary adenoma ACTH-secreting pituitary adenomas account for approximately 70% of cases of endogenous hypercortisolism (Cushing's syndrome).